Which of the following is not included in carcinoma in-situ category ?
1. DCIS
2. Paget's disease of nipple
3. LCIS
4. None of the above .

Correct answer: 3. LCIS

Explanation: 8thAJCC (Tis - in situ) It includes DCIS and Paget's disease of nipple . LCIS is removed from Tis . It is now considered as benign disease .